Which of the following is not used as hemostatic agent during furcation repair?
1. Ca(OH)2
2. Ferric sulphate
3. Calcium sulphate
4. Collagen

Correct answer: 2. Ferric sulphate